Contact dermatitis is a type of Hypersensitivity
1. Type I
2. Type II
3. Type III
4. Type IV

Correct answer: 4. Type IV

Explanation: Table 74.1 CLASSIFICATION OF ADVERSE DRUG REACTIONS BASED ON IMMUNE PATHWAY Type Key Pathway Key Immune Mediators Adverse Drug Reaction Type Type I IgE IgE Urticaria, angioedema, anaphylaxis Type II IgG-mediated cytotoxicity IgG Drug-induced hemolysis, thrombocytopenia (e.g. penicillin) Type III Immune complex IgG + antigen Vasculitis, serum sickness, drug-induced lupus Type IV a T lymphocyte-mediated macrophage inflammation IFN-g, TNF-a TH1 cells Tuberculin, skin test, contact dermatitis Type IV b T lymphocyte-mediated eosinophil inflammation IL-4, IL-5, IL-13 TH2 cells Eosinophils Drug-induced hypersensitivity syndrome (DIHS)Morbilliform eruption Type IV c T lymphocyte-mediated cytotoxic T lymphocyte inflammation Cytotoxic T lymphocytes GranzymePerforin Granulysin (Stevens-johnson syndrome (SJS)/ toxic epidermal necrolysis (TEN) only) SJS/TEN Morbilliform eruption Type IV d T lymphocyte-mediated neutrophil inflammation CXCLB, IL-17, GM-CSF Neutrophils Acute generalized exanthematous pustulosis (AGEP)